The lordotic view is valuble in confirming the presence of lesion in the lung apex and also in the –
1. Posterior mediastinum
2. Lingular segment
3. Posterior basal segment
4. Hilum

Correct answer: 2. Lingular segment